Spermatozoa gets its nutrition from
1. Glucose
2. Fructose
3. Galactose
4. Starch

Correct answer: 2. Fructose

Explanation: Ans: B. Fructose(Ref KS Sanoop 3'd/e p.171)Nutrition to sperms is mainly provided by fructose.Fructose (f .5-6.5 mg/ml).